Hypoglycemia is associated with all, except
1. Fibroma
2. Soft tissue sarcoma
3. Small cell carcinoma of lung
4. Hepatocellular carcinoma

Correct answer: 3. Small cell carcinoma of lung